Prolactin secretion will be inhibited by ?
1. Haloperidol
2. GABA (Gama aminobutyric acid)
3. Neurophysin
4. Dopamine

Correct answer: 4. Dopamine

Explanation: Ans. is 'd' i.e., Dopamine